The movement at the following joint permits a person to look towards the right or left -
1. Atlanto - occipital joint
2. Atlanto - Axial joint
3. C2-C3 joint
4. C3-C4 joint

Correct answer: 2. Atlanto - Axial joint

Explanation: Atlanto - occipital (between the skull and C1) joint permit nodding of the head (as when indicating approval or yes) and Atlanto-axial joint permits the head to be turned from side to side i.e. rotation (as indicating disapproval, the no movement).